Amino acid with double chiral carbon-
1. Tyrosine
2. Threonine
3. Tryptophan
4. Phenylalanine

Correct answer: 2. Threonine

Explanation: All amino acids have 1 assymetric or chiral C (means this C has all 4 valencies occupied by different atoms or group of atoms) EXCEPTIONS: * 0 - Glycine (So it lacks chilarity. Hence glycine won't show any optical activity) * 2 - Isoleucine, Threonine (double chiral carbons)